Which of the following artery is most cemmonly used for coronary artery bypass surgery
1. Bronchial
2. Ulnar
3. Phrenic artery
4. Radial

Correct answer: 4. Radial

Explanation: Radial